Which is not echogenic while doing ultrasonography-
1. Bile
2. Gas
3. Bone
4. Gall stones

Correct answer: 1. Bile

Explanation: Bile and urine are least echogenic.
Bone, gas, and organ boundaries are most echogenic.